In which of the following disease is corticosteroids  indicated ?
1. Osteoporosis
2. Peptic ulcer
3. Collagen vascular diseases
4. Tuberculosis

Correct answer: 3. Collagen vascular diseases